Which of the following is / are 1st line antitubercular drugs in children -
1. lsoniazid
2. Rifampicin
3. Pyrazinamide
4. All

Correct answer: 4. All

Explanation: Ans. is All First line anti-tubercular drugs are same in children and adults --> INH, rifampicin, Ethambutol, pyrazinamide, and streptomycin.